Normal value of Fetal scalp pH is ?
1. 6.9
2. 7
3. 7.1
4. 7.3

Correct answer: 4. 7.3

Explanation: * Fetal scalp blood testing is a technique during labor to confirm whether the oxygenation is sufficient.* Two constituents are tested by this method they are pH and lactate , both being indicators of acid base homeostasis.Normal values should be pH >7.25. * acidemia is <7.21 Reference: GHAI Essential pediatrics, 8th edition